Lens derives nutrition from
1. Vitreous
2. Aqueous
3. Optic artery
4. Ophthalmic artery

Correct answer: 2. Aqueous

Explanation: Lens being an avascular structure receives its nutrition from the aqueous like glucose salts, etc, by diffusion processRef: Parsons diseases of the eye; Under the heading lens